pH of synovial fluid is:
1. Basic in resting.
2. Acidic on movement.
3. Neutral.
4. Both A& B

Correct answer: 4. Both A& B